Parkland formula is: (Repeat)
1. %of burn area*body wt*4
2. %of burn area*body wt / 4
3. %of burn area*body surface area*4
4. %of burn area*body surface area / 4

Correct answer: 1. %of burn area*body wt*4

Explanation: Ans: A (% of burn area* body wt*4) Ref: Nelson's Textbook of Pediatrics. 19th EditionExplanation:Parkland's FormulaTotal percentage body surface area x weight (kg) x 4 = volume (ml)Half this volume is given in the first 8 hours, and the second half is given in the next 16 hours